The following statements regarding calcitonin are true except:
1. It has a short term used in patients with hypercalcemia.
2. It inhibits osteoclastic activity.
3. High concentrations in the plasma are seen in medullary carcinoma of the thyroid.
4. Its actions are similar to parathyroid hormone.

Correct answer: 4. Its actions are similar to parathyroid hormone.

Explanation: Calcitonin performs actions opposite to that of parathyroid hormone. It inhibits osteoclasts (hence prevents bone resorption) inhibits calcium reabsorption hence initially lowers calcium concentrations in hypercalcemia. Response decreases after few days. The parafollicular C cells of the thyroid produce calciteft7, hence in medullary carcinoma of the thyroid (tumour of parafoillience cular C cells) high concentrations may be seen in the plasma.